Which of the following drugs is not antifungal?
1. Capofungin
2. Undecylenic acid
3. Ciclopirox
4. Clofazimine

Correct answer: 4. Clofazimine

Explanation: D i.e., Clofazimine Capsofungin, an echinocandin, is a cell wall antagonist that blocks glucan synthetase. It's an intravenous drug used in treatment of aspergillosis or candidosis (resistant species). Ciclopirox and undecylenic acid are antifungal but clofazimine is not.